Which of the following is not seen in Anterior mediastinum
1. Thyroid tumour
2. Thymoma
3. Lymphoma
4. Neurogenic tumor

Correct answer: 4. Neurogenic tumor

Explanation: * The anterior mediastinum is the portion of the mediastinum anterior to the pericardium and below the thoracic plane. * It forms the anterior part of the inferior mediastinum * contains the thymus, lymph nodes, and may contain the portions of a retrosternal thyroid. Mediastinal Tumors and Other Masses Superior Mediastinum .- LymphomaThymoma Thyroid lesions Metastatic carcinoma Parathyroid tumors Anterior Mediastinum -= Thymoma Teratoma Thyroid lesions Parathyroid tumors Posterior Mediastinum-= Neurogenic tumors Neurogenic tumors -= Bronchogenic cyst Pericardial cyst Lymphoma REF : HARRISONS 21ST ED